MCC of DALYs lost among Mental health disorders is:-
1. Unipolar Depression
2. Bipolar depression
3. Schizophrenia
4. Alcohol disorders

Correct answer: 1. Unipolar Depression

Explanation: MCC of DALYs lost among Mental health disorders is Unipolar Depression. DALY- Disability adjusted life years - It is best indicator of '' disease Burden '' - M/C mental health disorder is unipolar depression - DALY'S lost d/t unipolar depression = 64,963 - M/C mental health disorder resulting in death is - Alzheimer's & dementias - MC substance abused - Tobacco - MC Narcotic substance abused - cannabis - Mental morbidity = 18-20/1000 population.